Which of the following is preferred in an elderly women having macrocytic anaemia with early signs of neurological deficit?
1. Folic acid
2. Hydroxycobalamine
3. Erythropoietin
4. Iron dextran

Correct answer: 2. Hydroxycobalamine